Neovascular glaucoma is not seen in
1. JRA
2. CRVO
3. CRAO
4. Eales' disease

Correct answer: 1. JRA

Explanation: In JRA, glaucoma generally presents as acute angle closure, due to posterior synechiae, or chronic angle closure, which results from progressive, peripheral anterior synechiae.